All are diseases of defective DNA repair except
1. Severe combined immunodeficiency disease
2. Adenosis polyposis coli
3. Bloom syndrome
4. Breast cancer susceptibility 1 (BRCA 1)

Correct answer: 2. Adenosis polyposis coli

Explanation: Human Diseases of DNA Damage Repair Repair Defective Nonhomologous End Joining Repair (NHEJ) Severe combined immunodeficiency disease (SCID) Radiation sensitive severe combined immunodeficiency disease (RS-SCID) Defective Homologous Repair (HR) AT -like disorder (AT LD) Nijmegen breakage syndrome (NBS) Bloom syndrome (BS) Werner syndrome (WS) Rothmund-Thomson syndrome ( S) Breast cancer susceptibility 1 and 2 (BRCA1, BRCA2) Defective DNA Nucleotide Exicision Repair (NER) Xeroderma pigmentosum (XP) Cockayne syndrome (CS) Trichothiodystrophy (TT D) Defective DNA Base Excision Repair (BER) MUTYH-associated polyposis (MAP) Defective DNA Mismatch Repair (MMR) Hereditary nonpolyposis colorectal cancer (HNPCC) Harper30e pg: 390